Which of the following is true for treatment of achalasia
1. CCB are effective in only 10% of patients
2. Endoscopic botox injection is procedure of choice
3. Heller’s myotomy without partial fundoplication is surgery of choice
4. Heller’s myotomy with partial fundoplication is a curative treatment.

Correct answer: 1. CCB are effective in only 10% of patients

Explanation: Heller’s myotomy with partial fundoplication is the procedure of choice but it's palliative not curative.